'Murphy sign' is associated with:
1. Acute cholecystitis
2. Pancreatic mass
3. Splenomegaly
4. Carcinoma colon

Correct answer: 1. Acute cholecystitis

Explanation: Ans. A i.e. Acute cholecystitis